True statement about inheritance of an X linked recessive trait is –
1. 50% of boys of carrier mother are affected
2. 50% of girls of diseased father arecarrier
3. Father transmits disease to the son
4. Mother transmits the disease to the daughter

Correct answer: 1. 50% of boys of carrier mother are affected

Explanation: Features of X-linked disorders

Except for a few conditions, all X-linked disorders are X-linked recessive.
A male has only one X-chromosome, the male with an affected gene on X-chromosome will always manifest the disease.
On the other hand, the female has 2 X-chromosomes, the heterozygous female will be a carrier because of the expression of a normal allele on the other X-chromosome.
Note - Female with Turner syndrome (only one 'X' chromosome) can manifest X-linked recessive disorders.
50% boys of the carrier mother will be affected.
All daughters of an affected father will become a carrier, i.e. affected father will transmit the defective X-chromosome to all the daughters.
Father will not transmit the disease to son as boys do not inherit X-chromosome from father.